The concept of One Stage Full Mouth Disinfection has been put forth to prevent
1. Adhesion of microorganisms
2. Proliferation of microorganisms
3. Translocation of microorganisms
4. Bacterial invasion

Correct answer: 3. Translocation of microorganisms